Hepatopancreatic duct opens into:
1. 1st part of duodenum
2. 2nd part of duodenum
3. 3rd part of duodenum
4. 4th part of duodenum

Correct answer: 2. 2nd part of duodenum

Explanation: Ans: b (2nd part of duodenum) Ref: BDC, 4th ed, Vol. II, p. 248The 2nd part of the duodenum shows two special features:1) Major duodenal papilla: 8-10 cm from the pylorus, posteromedially(Ampulla of Vater)- Major hepatopancreatic duct opens at its summit (Duct of Wirsung)2) Minor duodenal papilla: 6-8 cm from pylorusAccessory pancreatic duct opens at its summit (Duct of Santorini)More about the pancreatic and hepatopancreatic ducts:Pancreas- development- from dorsal and ventral bud* Ventral bud - Lower part of head, uncinate process* Dorsal bud - Upper part of head, body, tail* Duct system:Main pancreatic duct -- Proximal part- ventral budDistal part- dorsal budAccessory pancreatic duct -- From dorsal bud (proximal)* Islets of Langerhans -- derived from the primitive duct system* The tributaries drain into the major pancreatic duct at right angles to its long axis, forming a "Herring bone" pattern